Inspissation is ?
1. Heating at 160degC for 15 minutes
2. Heating at 160degC for 30 seconds
3. Heating at 80degC for 30 minutes
4. Heating at 120degC for 15 seconds

Correct answer: 3. Heating at 80degC for 30 minutes

Explanation: Ans. is 'c' i.e., Heating at 80degC for 30 minutes Inspissation: It is heat exposure method that is employed with high protein material, like egg containing media, that cannot withstand the high temperature used in autoclaving. The medium is exposed to 80degC for 30 minutes for three successive days in inspissator. It can be used for LI medium and loeffler serum slop.